Which of the following antineoplastic drug causes pulmonary toxicity?
1. Bleomycin
2. 5-fluorouracil
3. Cisplatin
4. Vincristine

Correct answer: 1. Bleomycin

Explanation: Bleomycin causes pulmonary toxicity in the form of pneumonitis, dry cough, rales and later pulmonary fibrosis. These complications occur when total dose of 200 units is exceeded.5-Fluorouracil causes myelosuppression, stomatitis and diarrhoea.Cisplatin is nephrotoxic and ototoxic. Ototoxicity affects 4000 to 8000 Hz which may be permanent.Vincristine is neurotoxic and causes sensory or motor peripheral neuropathy.